Ramesh Singh, a 40 yrs old man, was admitted with fracture shaft femur following a road traffic accident. On 2nd he became disoriented. He was found to be tachypnoeic, and had conjunctival petechiae. Most likely diagnosis is:
1. Pulomary embolism
2. Sepsis syndrome
3. Fat embolism
4. Hemothorex

Correct answer: 3. Fat embolism

Explanation: C i.e. Fat embolism